During pomeroy's method of female sterilization, which portion of tube is ligated :
1. Isthmus
2. Ampullary
3. lsthmo-ampullary
4. Cornual

Correct answer: 3. lsthmo-ampullary

Explanation: lsthmo-ampullary